A 52 year old ex-military man presented with fever and abdominal pain. Imaging studies are suspicious of hydatid cyst. Which of the following is the commonest organ for forming hydatid cyst?
1. Liver
2. Lungs
3. Kidneys
4. Spleen

Correct answer: 1. Liver

Explanation: Hydatid cysts are parasitic infections caused by the larval stage of Echinococcus granulosus tapeworms. Humans can be infected from ingestion of contaminated canine fecal material and are considered accidental hosts. Hydatid cysts may affect any organ, but the liver is most commonly involved (>60% of cysts) followed by the lungs (20%). Ref: Wright S.W., Jack M (2010). Chapter 21. Tropical Medicine. In Knoop K.J., Stack L.B., Storrow A.B., Thurman R (Eds), The Atlas of Emergency Medicine, 3e.